Risk of HIV transmission is highest during
1. During Caesarian section
2. During antepartum period
3. During vaginal delivery
4. Breast feeding

Correct answer: 3. During vaginal delivery